The radiograph of a traumatized tooth is necessary to:
1. Assess the stage of root development
2. Determine the presence/absence of root fracture
3. Have a base from which comparison can be made with future radiographs
4. All of the above

Correct answer: 4. All of the above